A child with a small head, minor anomalies of the face including a thin upper lip, growth delay, and developmental disability can have all of the following, except:
1. A chromosomal syndrome
2. A teratogenic syndrome
3. A Mendelian syndrome
4. A polygenic syndrome

Correct answer: 4. A polygenic syndrome

Explanation: d. A polygenic syndrome(Ref: Nelson's 20/e p 618-619)The given child has microcephaly, thin upper lip & growth & developmental delay. These features can be seen in:a. A chromosomal syndrome like Tetrasomy 12p (Pallister-Killian syndrome)b. A teratogenic syndrome like fetal alcohol syndromec. Amendelian syndrome like Rubinstein-Taybi syndromeHence, a polygenic syndrome is least likely in the given scenarioIn a polygenic disease, multiple genes contribute to the disease like hypertension & diabetes